A 19 - year - old boy suffering from chronic Schizophrenia is put on haloperidol at the dose of 20 mg/day. A week after the initiation of medication the patient shows restlessness, fidgetiness, irritability and cannot sit still at one place. The most appropriate treatment strategy is:
1. Increase in the dose of haloperidol
2. Addition of anticholinergic drug
3. Addition of beta blocker
4. Adding another antipsychotic drug

Correct answer: 3. Addition of beta blocker

Explanation: The history here is suggestive of akathisia AKATHASIA It is a subjectively unpleasant state of inner restlessness where there is a strong desire to move Signs and symptoms: foot stamping when seated constantly crossing/uncrossing legs rocking from foot to foot constantly pacing up and down Prevalence: Higher prevalence with typical antipsychotics Among atypical antipsychotics, most prevalent withAripiprazole Treatment: Beta blockers like propranolol (DOC) Anticholinergics and benzodiazepines can also be used